When observations are made before and after the exposure to the factor, it is -
1. Chi-square test
2. Unpaired T-Test
3. Paired T-Test
4. ANOVA test

Correct answer: 3. Paired T-Test

Explanation: Ref:Parks 23rd edition pg 852 Tests of significance: Qualitative: Chi- square : 2 or more than 2 groups Mc Nemar test : 1 group. ( before and after intervention) Quantitative: Paired T test: 1 group Student T test/ unpaired T test: 2 groups Anova: more than 2 groups.